WHO defines BMI of the malnourished as:
1. Below 18 kg/m2
2. Below 18.5 kg/m2
3. Below 19 kg/m2
4. below 19.5 kg/m2

Correct answer: 2. Below 18.5 kg/m2

Explanation: Ans. B: Below 18.5 kg/m2 BMI is an estimate of total body fat mass and is probably the most useful scale to define obesity. Obesity has been defined as a BMI >30.0 kg/m2 in World Health Organization (WHO) classification Body mass index (BMI), calculated from measured weight and height, was classified using the World Health Organization categories of: Underweight (BMI < 18.5 kg/m2), Normal weight (BMI 18.5 to 24.9 kg/m2), Pre-obesity (PreOB = BMI 25 to 29.9 kg/m2) and Obesity (OB = BMI of more than 30 kg/m2)